A 24-year-old man is admitted to the emergency department after a car collision. Radiographic examination reveals a fracture at the junction of the middle and lower thirds of the femur. An MRI examination provides evidence that the popliteal vessels were injured when the distal fragment of the fracture was pulled posteriorly. Which of the following muscles is most likely to displace the distal fracture fragment?
1. Soleus
2. Gastrocnemius
3. Semitendinosus
4. Gracilis

Correct answer: 2. Gastrocnemius

Explanation: The gastrocnemius muscle arises from the femur just proximal to the femoral condyles. This strong muscle could displace the distal fragment of the broken femur posteriorly. In addition, the popliteal artery is the deepest structure in the popliteal fossa (right against the popliteal surface of the distal femur) and is susceptible to laceration in this scenario. The orthopedic surgeons always look for damage to the popliteal artery in a patient with a supracondylar fracture. The soleus arises from the tibia and would have no effect upon the femur. The semitendinosus arises from the ischial tuberosity and inserts medially on the proximal tibia, via the pes anserinus. The tibialis anterior arises from the tibia and inserts mostly onto the navicular bone.